Indication for sentinel node biopsy is
1. Non palpable axillary lymph node
2. Palpable axillary lymph node
3. Mass > 5 cm
4. Metastasis

Correct answer: 1. Non palpable axillary lymph node

Explanation: The first axillary node draining the breast (by direct drainage) is designated as the sentinel node (SLN). SLN Biopsy is done in all cases of early breast cancers, T1 and T2 without clinically palpable node. It is not done in clinically palpable axillary node as there is already distortion of lymphatic flow due to tumour.I t is also not done in multifocal and multicentric tumours, as there is involvement of many lymphatic trunks from different places of breast, and chances of false-negative is high.. Ref; (page no; 543) 5th edition of SRB'S manual of Surgery